Balanced force technique can be described as:
1. Positioning and preloading an instrument with a clockwise rotation and shaping with a counter clockwise rotation.
2. Insertion with a quarter turn clockwise rotation with slight apical pressure.
3. Cutting 180 degree to 270 degree counterclockwise rotation with apical pressure.
4. All of the above.

Correct answer: 4. All of the above.

Explanation: Balanced Force Technique
Balanced force technique was introduced by Roane et al, in 1985. In this technique, flex-R-files, flex-O files, or any other flexible files with a modified non-cutting tip are used.

Positioning and preloading an instrument with a clockwise rotation and shaping with a counter clock wise rotation
Insertion with a quarter-turn clockwise rotation with slight apical pressure 
Cutting 180°-270° counterclockwise rotation with apical pressure.